Which is not true about hepatitis B virus?
1. DNA virus
2. Transmitted by faeco - oral route
3. Can be transmitted from mother to child (Perinatal transmission)
4. Contains reverse transcriptase

Correct answer: 2. Transmitted by faeco - oral route

Explanation: Ans. is 'b' i.e., Transmitted by faeco - oral route (Ref: Harrison, 18th/e, p. 2547; 17th/e, p. 1939)* Hep B is partially double stranded DNA virus, amongst the hepatitis viruses, HBV has maximum risk of perinatal transmission.Perinatal transmissionHAVHBVHCVHDVHEV-++++-+-